Speed of conduction is fastest in
1. AVN
2. SAN
3. Bundle of His
4. Purkinje system

Correct answer: 4. Purkinje system